Best site for blood collection for toxicology sampling:
1. Abdominal aorta
2. Femoral vein
3. Carotid artery
4. Heart

Correct answer: 2. Femoral vein

Explanation: Ans. Femoral vein